ErythrobLastosis fetalis can be prevented if the mother is injected at parturition, with an antibody called
1. Blocking antibody
2. Rh (D) irnmunoglobulin
3. Antilymphocyte globulin
4. Antithymocyte serum

Correct answer: 2. Rh (D) irnmunoglobulin